Casal's necklace is seen in deficiency of:
1. Vitamin A deficiency
2. Niacin
3. Vitamin B12 deficiency
4. Iron deficiency anemia

Correct answer: 2. Niacin

Explanation: Ans: B i.e. Niacin The Casal collar or Casal necklace is a clinical sign in which there is erythematous pigmented skin rash in the distribution of a broad collar (dermatomes C3 and C4). It is seen in patients with pellagra.